Drug of choice of psoriatic arthritis
1. Glucocorticoide
2. Methotrexate
3. Probenecid
4. Cyclophosphamide

Correct answer: 2. Methotrexate